Headquarters of UNICEF is at
1. New York
2. Geneva
3. Rome
4. New Delhi

Correct answer: 1. New York